Egg shell calcification is seen in – a) Sarcoidosisb) Sillicosisc) Lung Cad) pneumoconiosise) Lymphoma following radiation treatment
1. abde
2. bcde
3. acde
4. ade

Correct answer: 1. abde